All are derivatives of ureteric bud EXCEPT
1. Ureter
2. Renal pelvis
3. Minor calyx
4. Connecting tubule

Correct answer: 4. Connecting tubule

Explanation: Ureteric bud forms 1. Collecting duct 2. Major calyx 3. Minor calyx 4. Renal pelvis 5. Ureter Connecting ducts are formed from metanephric blastema which is derived from intermediate mesoderm.